Hegar sign can be elicited in :
1. Early pregnancy
2. Late pregnancy
3. During labour
4. During puerperium

Correct answer: 1. Early pregnancy

Explanation: Early pregnancy